The most common site for intestinal TB is
1. Distal ileum
2. Jejunum
3. Sigmoid colon
4. Ascending colon

Correct answer: 1. Distal ileum

Explanation: Most common sites - Distal ileum and caecum Ref : Sabiston 20th edition Pgno : 1217